Mechanism of action of vancomycin is :
1. Inhibition of cell wall synthesis
2. Inhibition of protein synthesis
3. Leakage from cell membrane
4. Inhibition of DNA gyrase

Correct answer: 1. Inhibition of cell wall synthesis